Erb's point is formed by
1. C4 and C5
2. C5 and C6
3. C6 and C7
4. C6 and T1

Correct answer: 2. C5 and C6

Explanation: Erb's point is formed by the C5 and C6 root, anterior and posterior divisions of upper trunk, subscapular nerve and nerve to subclavius. Injury to upper trunk causes Erb's paralysis. B D Chaurasia 7th edition Page no: 59